Treatment of early cases of vocal nodules is ?
1. Excision
2. Laser Ablation
3. Voice therapy
4. Tissue sampling followed by definitive therapy

Correct answer: 3. Voice therapy

Explanation: Ans. is'c'i.e., Voice therapyEarly cases of vocal nodules can be treated conservatively by educating the patient in proper use of voice.Many nodules especially in children, disappear with this treatment'Surgery is required for large nodules or long standing nodules in adults.Microscopic (microlaryngoscopic) erosion is the treatment of choice,